Which of the following is true about the location of Omental bursa -
1. Left sub hepatic
2. Left sub phrenic
3. Right sub hepatic
4. Right sub phrenic

Correct answer: 1. Left sub hepatic

Explanation: Lesser sac (Omental bursa) is left posterior intraperitoneal space, also called left subhepatic space.